The following rule is not associated with rigor mortis
1. Shapiro
2. Nysten
3. Morrison
4. Rule of 12

Correct answer: 3. Morrison

Explanation: Rule of Morrison: Gestational age of fetus (6 - 10 months) Nysten's rule: Rigor mortis ( order of appearance) Rule of 12: Rigor mortis Shapiro's rule: Rigor mortis Rule of 9: Burns Rule of Hasse: Gestational age of fetus (first 5 months) Casper's dictum: Decomposition